In neonates, spinal cord ends at:
1. L1
2. L2
3. L3
4. L4

Correct answer: 3. L3

Explanation: Ans. C: L3